Small airways have laminar air flow because:
1. Reynold's number > 2000
2. Very small diameter
3. Extremely low velocity
4. Low cross sectional area

Correct answer: 3. Extremely low velocity

Explanation: Small airway have low reynold number, large cross sectional area, large diameter and air flows at a very low velocity. Ref: Physiology of respiration By Michael P. Hlastala, Albert J. Berger, Page 52; Review of Medical Physiology by William ganong, 22nd edn/page 583